Under the Indira Gandhi National Old Age Pensions Scheme, eligibility age is:
1. 55 years
2. 60 years
3. 65 years
4. None of the above

Correct answer: 2. 60 years

Explanation: Under the Indira Gandhi National Old Age Pensions Scheme, the eligibility age has been reduced to 60 years since 1st April 2011 and the rate of pension is increased to Rs. 500 for beneficiaries aged 80 years or more. Ref: Health policies and programmes in India, D.K. Taneja 11th edition page: 393